Stage II of demographic cycle corresponding to
1. Birth rate is lower than the death rate
2. High Birth rate and High death rate
3. Death rate starts to decline which birth rate is the same
4. Death rate further declines and birth rate also falls

Correct answer: 3. Death rate starts to decline which birth rate is the same